Epiloia is the synonym for which disease ?
1. Ataxia telangiectasia
2. Tinea capitis
3. Tuberous sclerosis
4. Sarcoidosis

Correct answer: 3. Tuberous sclerosis

Explanation: Tuberous Sclerosis Aka Bourneville's disease or Epiloia AD (Low penetrance) Chromosome 9 and 16 C/F: Classic triad of Epilepsy, Low IQ Adenoma sebaceum Cutaneous features Angiofibromas Periungual fibroma or Koenen tumor Shagreen patch Firm fibromatous plaques, especially on the forehead and scalp. Soft pedunculated fibromas around the neck and axillae.